All of the following are true about cocaine addiction except:
1. Myocardial infarction
2. Seizures
3. Comorbid addiction to alcohol
4. Amantadine is the drug of choice

Correct answer: 4. Amantadine is the drug of choice

Explanation: No pharmacological agent has any reliable role in cocaine dependence. These patients frequently use other substances too. Effects of cocaine use: 1.Significant elevation of mood (lasting only 1 h with cocaine) 2.Increased alertness and attention span 3.Psychotic symptoms- Formication with cocaine 4.Loss of appetite and weight 5.Pupil dilation 6.Tachycardia and other cardiovascular effects,which can be life threatening eg: Myocardial infarction. 7.Seizures 10.Reddening (erythema) of the nose due to "snorting" cocaine 11.Hypersexuality